The largest artery to the stomach is
1. Left Gastric
2. Right Gastric
3. Left Gastroepiploic
4. Right Gastroepiploic

Correct answer: 1. Left Gastric